Post partum hemorrhage is blood loss of 500 cc or more within :
1. 6 hours of the beginning of 3rd stage of labour
2. 12 hours of the beginning of 3'd stage of labour
3. 18 hours of the beginning of 3rd stage of labour
4. 24 hours of the beginning of 3'd stage of labour

Correct answer: 4. 24 hours of the beginning of 3'd stage of labour

Explanation: 24 hours of the beginning of 3'd stage of labour